Pompe's disease is due to deficiency of which enzyme storage disease
1. Branching enzyme
2. Glucose 6 phosphatase
3. Acid maltase deficiency
4. Muscle phosphorylase

Correct answer: 3. Acid maltase deficiency

Explanation: Pompe's disease (Type H glycogenosis) is due to deficiency of acid maltase (lysosomal α l →4 and α l→6 glucosidase).